If both husband and wife are suffering with Achondroplasia, what are their chances of having a normal child?
1. 0%
2. 25%
3. 50%
4. 100%

Correct answer: 2. 25%

Explanation: . 25%